True about Schatzki's ring:
1. Has skeletal muscle
2. Causes dysphagia
3. Contains all the layers of the esophagus
4. All

Correct answer: 2. Causes dysphagia

Explanation: Ans is b' i.e. Causes dysphagia